Superior orbital fissure best view is:
1. Plain AP view
2. Caldwell
3. Townes
4. Basal view

Correct answer: 2. Caldwell

Explanation: Ans. Caldwell